Type-I hyperlipoproteinemia is characterized by:-
1. Elevated LDL
2. Elevated lipoprotein lipase
3. Elevated cholesterol
4. Elevated triglycerides in plasma

Correct answer: 4. Elevated triglycerides in plasma

Explanation: Hyperlipoproeinemia Type Increased plasma lipoproteins Increased plasma lipid (most) Probable metabolic defect I Chylomicrons Triacyglycerols Deficiency of lipoprotein lipase IIa LDL Cholesterol Deficiency of LDL receptors IIb LDL and VLDL Triacylglycerols and cholesterol Overproductionn of apo-B III IDL Triacylglycerols and cholesterol Abnormality in apo-E IV VLDL Triacylglycerols Overproduction of TG V Chylomicrons and VLDL Triacylglycerols -